Which of the following statement is true regarding gastrulation?
1. Establishes all the three germ layers
2. Usually occurs at 4 weeks of gestation
3. Involves the hypoblastic cells of inner cell mass
4. Occurs at the caudal end of the embryo prior to its cephalic end

Correct answer: 1. Establishes all the three germ layers

Explanation: Gastrulation is the formation process by which the 3 germ layers and axial skeleton are established in the embryo. It is the beginning of morphogenesis. It occurs during the third week of gestation. 3 germ layers which are formed includes ectoderm, endoderm and mesoderm.Ref: The Developing Human, Keith L. Moore, 7th Edition, Page 60 ; Langman's Medical Embryology, 8th Edition, Page 61